Saturated fatty acid is present in high quantity ?
1. Coconut oil
2. Sunflower oiI
3. Safflower oil
4. Soyabeen

Correct answer: 1. Coconut oil

Explanation: Ans. is 'a' i.e., Coconut oil